Commonest opportunistic organism to cause ocular inflammation in AIDS is
1. Cytomegalovirus
2. Herpes simplex virus
3. Toxoplasmosis
4. Candida albicans

Correct answer: 1. Cytomegalovirus

Explanation: A i.e. Cytomegalovirus Ocular Involvement In AIDS Earliest & most consistent finding of HIV retinopathy is cotton wool spots Q In AIDS most common ocular infection is CMV chorioretinitisQ Cotton wool spots are most common ophthalmoscopic finding in CMV infection in AIDS. M.C. cause of chorioretinitis is CMVQ (mostly < 50 cells/mm3 CD4 cell count) Treatment of CMV retinitis is Ganyclovir & FoscanetQ M.C. ocular neoplasm is Kaposi sarcoma M.C. ocular lesion is microvasculopathy involving conjunctiva & retina.